Best myocutaneous flap for breast reconstruction:
1. Pectoralis minor
2. Pectoralis major
3. Latissimus dorsi
4. Transverse rectus abdominis

Correct answer: 4. Transverse rectus abdominis

Explanation: Methods of breast reconstruction: Autogenous - tissues of the patient used to create a myocutaneous flap Eg: TRAM, LD Alloplastic - silicone implant Combined - uses TRAM + implant or LD + implant Most common method of breast reconstruction / augmentation worldwide: silicone implants. IOC for implant related complications: MRI Best method for breast reconstruction: DIEP > TRAM DIEP: deep inferior epigastric vessels flap TRAM: transverse rectus abdominal muscle LD: latissimus dorsi flap.